The prime driving force for counter current multiplier system is
1. Medullary hyperosmolarity
2. Reabsorption of Na+ in thick ascending limb
3. Action of ADH via aquaporin channels
4. Urea recycling

Correct answer: 2. Reabsorption of Na+ in thick ascending limb

Explanation: Ans. (b) Reabsorption of Na+ in thick ascending limb(Ref: Ganongy 25th ed/p.685)The primary driving force for counter current system is Reabsorption of Na+ in thick ascending limb through Na-K-2Cl cotransporter